Which of the following base is contraindicated below composite or resin restoration?
1. GIC
2. Silicate cement
3. ZOE cement.
4. Zinc phosphate cement.

Correct answer: 3. ZOE cement.

Explanation: Because eugenol inhibit the polymerization of resin.